33 year old female patient presents with irregular vaginal bleeding. On examination, papillary lesion is seen on cervix. Further biopsy and staging reveals stage IB1 cervical cancer. She is nulliparous and desires fertility. What would you recommend
1. Cervical conization alone.
2. Radical trachelectomy and pelvic lymph node dissection.
3. Cervical conization and pelvic lymph node dissection.
4. Radical trachelectomy alone.

Correct answer: 2. Radical trachelectomy and pelvic lymph node dissection.